Hummingbird sign on MRI is seen in -
1. Multisystem atrophy
2. Lewy body dementia
3. Progressive supranuclear palsy
4. Alzeihmer's disease

Correct answer: 3. Progressive supranuclear palsy

Explanation: Ans. is 'c' i.e., Progressive supranuclear palsy o Hummingbird sign and Mickey Mouse sign are seen on MRI in progressive supranuclear palsy,o In progressive supranuclear palsy (PSP), severe mesencephalic atrophy occurs, giving the appearance of a hummingbird on mid-sagittal images.